Which of the following is the most common site of injury to the spinal cord
1. Lower cervical
2. Thoracolumbar
3. Upper cervical
4. Lumbosacral

Correct answer: 1. Lower cervical

Explanation: The most common site of injury to the spinal cord - LOWER CERVICAL The common sites of injury to the spinal cord in order of frequency are : Lower cervical region > Thoracolumbar junction > Upper cervical region